All are defence mechanisms for ego except
1. Projection
2. Conversion
3. Reaction formation
4. Transference

Correct answer: 4. Transference

Explanation: Transference: it is the process of the patient unconsciously and inappropriately displacing onto individuals in his or her current life those patterns of behaviour and emotional reactions that originated with significant figures from earlier in life, often childhood. in the clinical situation the displacement is onto the psychiatrist. Counter transference: process by which the physician unconsciously displaces onto the patient patterns of behaviours or emotional reactions as if it he or she were a significant figure from earlier in the physician's life. ref: Synopsis of Psychiatry, 11e, pg 194.